Which of the following is the clinical feature of intermittent claudication?
1. Pain in leg
2. Pain in leg on rest
3. Pain in leg only on exercise
4. Cyanosis of leg

Correct answer: 3. Pain in leg only on exercise

Explanation: Intermittent claudication refers to pain in muscles of the lower extremity associated with walking and relieved by rest. The pain is a deep-seated ache usually in the calf muscle, which gradually progresses until the patient is compelled to stop walking. Relief of symptoms is not dependent upon sitting or other positional change. Ref: Rapp J.H., MacTaggart J. (2010). Chapter 34. Arteries. In G.M. Doherty (Ed), CURRENT Diagnosis & Treatment: Surgery, 13e.